A patient suffers a severe hemorrhage resulting in a lowered mean arterial pressure. Which of the following would be elevated above normal levels?
1. Splanchnic blood flow
2. Cardiopulmonary receptor activity
3. Right ventricular end-diastolic volume
4. Heart rate

Correct answer: 4. Heart rate

Explanation: The heart rate would be elevated by the increased sympathetic activity and decreased parasympathetic activity caused by the baroreceptor reflex.